For MTP consent is taken from?
1. Wife only
2. Husband only
3. Both
4. Neither

Correct answer: 1. Wife only

Explanation: Ans. is 'a' i.e., Wife only o According to this act, consent of only women is required (if she is over 18 years and sane); and consent of parents/ guardian is required if she is below 18 years or above 18 years but insane.o Consent of husband is not required.o Abortion cannot be performed on request of husband, if women herself is not willing.o Women need not produce proof of her age, only statement that she is over 18 is accepted.